Which of the following strain does not cause hyperendemic trachoma
1. A
2. B
3. C
4. D

Correct answer: 4. D

Explanation: Trachoma Strains * A, B, Ba, C: Hyperendemic trachoma * D, K : Inclusion trachoma Predisposing factors * Usually contracted during early age group * Females have more serious disease * More common in lower socioeconomic status * Outdoor workers are more involved